Widmark's formula is used in calculating:
1. Quantity of alcohol in body
2. Time since death
3. Infliction of injuries
4. Stature

Correct answer: 1. Quantity of alcohol in body

Explanation: Ans is 'a' i.e. Quantity of alcohol in body Widmarks's formula:It is the basis for calculating the approximate quantity of alcohol in the body after equilibrium between the blood and tissue has been reached.Formula is : a = cpr a = amount of alcohol consumed in gms c = concentration of alcohol in blood (in mg/kg) p = Body weight of the person in kg r = constant (0.6 for men & 0.5 for women)For urine analysis the formula is: a = 3/4 prq q = concentration of alcohol in urine (in mg per kg)Estimation of alcohol cone, (degree of intoxication) can be done by testing-BloodUrineSalivaBreath